A vaccine which requires stringent condition for storage is
1. DPT
2. OPV
3. BCG
4. TT

Correct answer: 2. OPV

Explanation: (Refer: K. Park's Textbook of Preventive and Social medicine, 24thedition, pg no: 222)